Facial N. stimulation during testing of nerve is indicated by contraction of which of the following muscle?
1. Temporalis
2. Masseter
3. Sternocleidomastoid
4. Orbicularis oris

Correct answer: 4. Orbicularis oris

Explanation: Orbicularis oris is a muscle of facial expression innervated by facial nerve. It acts as an orbital sphincter (closes eyelid). Palpebral portion gently closes and orbital portion tightly closes the eyelid.Muscles of facial expression supplied by facial nerve are:OccipitofrontalisProcerusOrbicularis oculiNasalisLevator labii superioris alaequi nasiAnterior auricular muscleSuperior auricular musclePosterior auricular muscleFacial nerve also supplies posterior digastric, stapedius and stylohyoid muscles. Masseter and temporalis are supplied by mandibular division of trigeminal nerve.